True about benzodiazepine is:
1. GABA mimetic
2. GABA facilitator
3. Not a safe drug
4. High absue potential

Correct answer: 2. GABA facilitator

Explanation: Ans. is'b'i.e., GABA facilitatorMechanism of action of benzodiazepines (BZDs):Acts on GABA-A receptors.BZDs receptor increase the conductance of Cl- channel.BZDs do not themselves increase Cl- conductance, i.e. they have only GABAfacilitatory but no GABA mimetic action. (Barbiturates have both GABA facilitatory and GABA mimetic actions).